Commonest cause for bilateral proptosis in children is -
1. Cavernous hamangioma
2. Chloroma
3. Fibrous histiocytoma
4. Rhabdomyosarcoma

Correct answer: 2. Chloroma

Explanation: Most common cause of bilateral proptosis: In children : Neuroblastoma and leukemia (chloroma). In adults : Thyroid ophthalmopathy. Most common cause of unilateral proptosis: In children : Orbital cellulitis. In adults : Thyroid ophthalmopathy. Ref: A. K. Khurana 6thE pg404